Which of the following is not seen in Alport's disease ?
1. Hematuria
2. Lenticonus
3. AR inferitance
4. Massive proteinuria

Correct answer: 4. Massive proteinuria

Explanation: mild proteinuria is seen in alports syndrome <1-2g/24hrs,appears late in the course of disease. Other features are:hematuria lenticonus, sensorineural deafness x-linked AR, AD inheritance are seen. Ref:Harrison 20th edition